Constricted pupil is seen in all poisoning, except:
1. Paracetamol
2. Opium
3. Phenol
4. OPC

Correct answer: 1. Paracetamol

Explanation: Ans. Paracetamol